Cobblestone appearance of conjunctiva is seen in:
1. Bacterial conjunctivitis
2. Spring catarrh
3. Ophthalmia neonatorum
4. Trachoma

Correct answer: 2. Spring catarrh

Explanation: Ans. B i.e. Spring catarrh Conditions affecting conjunctiva In bacterial conjunctivitis, the picture of hyperaemia is associated with a mucus discharge, which gums the lids together, particularly in the mornings because of the accumulation during the night On everting the upper eyelid, the palpebral conjunctiva is seen to be hypertrophied & mapped out into polygonal raised areas, not unlike cobblestones in vernal conjunctivitis/spring catarrh In ophthalmia neonatorum, the conjunctiva becomes intensely inflamed, bright red & swollen, with a thick yellow pus discharge The essential lesion of trachoma is a trachomatous follicle